Drug of choice in depression in old person is
1. Fluoxetine
2. Buspirone
3. Amitriptyline
4. Imipramine

Correct answer: 1. Fluoxetine

Explanation: Elderly are at greater risk of developing adverse events while taking any medication. always in elderly management for psychiatric disorder we follow the principle of START LOW AND GO SLOW amitriptilline and imipramine a tricyclic antidepressent which has lot of adverse effects like exacerbation of glaucoma, ECG changes like prolonged QTc intervel, urinary retention. Buspirone is 5HT1A partial agonist that has anti anti anxiety effects and is used for anxiety disorders and for augmentation agent for depression and not as first line mangement for depression. Newer, non-tricyclic antidepressants are often claimed to be as effective as but safer than tricyclic antidepressants and hence drugs of choice in elderly people Fluoxetine is also effective in treating elderly patients with dementia and depressive symptoms Ref: Kaplon and sadock, 11 th edition, synopsis of psychiatry, 11 th edition, pg no. 1334